Vector for dengue fever is:
1. Culex
2. Aedes
3. Male Anopheles
4. Female Anopheles

Correct answer: 2. Aedes

Explanation: Ans. B: Aedes Dengue fever and dengue hemorrhagic fever (DHF) are acute febrile diseases which occur in the tropics, can be life-threatening, and are caused by four closely related virus serotypes of the genus Flavivirus, family Flaviviridae. It is also known as breakbone fever. The reservoir for infection is both man and mosquito. The transmission cycle is man-mosquito-man. Aedes aegypti is the main vector.